All are true about type 1 schizophrenia except
1. Acute illness
2. Good prognosis
3. Negative symptoms
4. Intellect maintained

Correct answer: 3. Negative symptoms

Explanation: Type I and Type II Schizophrenia: TJ Crow had divided schizophrenia into two subtypes namely, Type I and II schizophrenia. The Type I syndrome is characterised by positive symptoms while the Type II syndrome is predominantly characterised by the presence of negative symptoms. Type I syndrome is supposed to have an acute presentation, good response to medication and a good outcome, while Type II is theorised to be chronic of course, have a poor response to medication and a poor outcome. Crow also described dilated ventricles on CT Scan of Brain in Type II syndrome. Ref: A Short Textbook of Psychiatry, Niraj Ahuja, 7th Edition, pg. no. 61